Trochanteric fracture of femur is best treated by:
1. Dynamic hip screw
2. Inlay plates
3. Plaster in abduction
4. Plaster in abduction and internal rotation

Correct answer: 1. Dynamic hip screw

Explanation: (a) Dynamic hip screwDynamic hip screw (DHS) plate is the implant of choice for fixation. These days proximal femoral nail (PFN) is preferred. It is a variety of cephalomedullary fixation.